Testamentary capacity refers to :
1. Ability to make a valid will
2. Criminal liability
3. Right to vote
4. Ability to give evidence

Correct answer: 1. Ability to make a valid will

Explanation: A i.e. Ability to make valid will Testamentary capacity is the mental